By which method foreign DNA is introduced into a cell by a virus or viral vector?
1. Transduction
2. Transcription
3. Lysogenic conversion
4. Transformation

Correct answer: 1. Transduction

Explanation: (A) Transduction[?]TRANSDUCTIONoTransfer of genetic information from one cell to another by means of a viral vector.oRefers to the process whereby foreign DNA is introduced into another cell via a viral vectoroTransduction does not require physical contact between the cell donating the DNA and the cell receiving the DNA (which occurs in conjugation), and it is DNase resistant.oTransduction is a common tool used by molecular biologists to stably introduce a foreign gene into a host cell's genome.Other Options[?]Lysogenic ConversionoWhen a cell becomes lysogenized, occasionally extra genes carried by the phage get expressed in the cell. These genes can change the properties of the bacterial cell. This process is called lysogenic conversion.[?]Bacteriophages: Lysogenic Conversion-Some lysogenic phage carry genes that can enhance the virulence of the bacterial host.-For example, some phage carry genes that encode toxins.-These genes, once integrated into the bacterial chromosome, can cause the once harmless bacteria to release potent toxins that can cause disease.[?]Transcription-Transcription is the process of making a complementary molecule of mRNA (messenger RNA) from a DNA template. This takes place in the nucleus.-RNA polymerase unwinds, reads and places the correct nucleotide on the mRNA strand according to base pairing rules (A to U, C to G, T to A).[?]Transformation:oIntroduction of an exogenous DNA into cell, causing the cell to acquire a new phenotype.oInfection of Bacterium by phage begins with injection of its DNA.oIt can take either of 2 causes 1 lysogenic - viral DNA becomes as part of Bacterial DNA causing cell division.oLytic-viral DNA excises from host chromosome and replicates itself, Direct synthesis of viral proteins - then lysis of host occurs with release of viri.oTransduction is the process by which foreign DNA is introduced into a cell by a virus or viral vector. An example is the viral transfer of DNA from one bacterium to another.oTransformation is one of three processes for horizontal gene transfer, in which exogenous genetic material passes from one bacterium to another, the other two being conjugation (transfer of genetic material between two bacterial cells in direct contact) and transduction (injection of foreign DNA by a bacteriophage virus into the host bacterium). In transformation, the genetic material passes through the intervening medium, and uptake is completely dependent on the recipient bacterium.